One advantage of a live attenuated vaccine is?
1. It does not produce persistent infections
2. The viral strain does not revert to virulent forms
3. It has an unlimited shelf life
4. It induces a wide spectrum of antibodies

Correct answer: 4. It induces a wide spectrum of antibodies

Explanation: An advantage of live attenuated vaccines is that they induce a wide spectrum of antibodies. Disadvantages include the possible production of persistent infections, reversion to highly virulent strains and a limited shelf life.